A 16 year-old boy presented with asymptomatic, multiple, erythematous, annular lesions with a collarette of scales at the periphery of the lesions present on the trunk. The most likely diagnosis is:
1. Lichen planus
2. Seborrhic dermatitis
3. Pityriasis rosea
4. Tinea versicolor

Correct answer: 3. Pityriasis rosea

Explanation: Multiple, erythematous, annular lesions with a collarette of scales at the periphery of the lesions present on the trunk is suggestive of Pityriasis rosea. Lichen planus Purple Polygonal Pruritic Papules; Lacy white markings, Associated with mucous membrane lesions. Seborrheic dermatitis Central facial erythema with overlying greasy, yellowish scale. Pityriasis rosea - Rash preceded by herald patch; - Oval to round plaques with trailing scale; - Affects trunk and eruption lines up in skin folds giving a "fir tree"-like appearance; Tinea versicolor (Malassezia furfur) - Hyperpigmented or hypopigmented scaly patches on the trunk; - Characteristic mixture of hyphae and spores on KOH preparation ('spaghetti and meatballs' appearance) -Rx: Topical Selenium sulfide lotion or azoles